Features of healthy gallbladder on laprotomy are -a) Typical "sea-green" coloredb) Wall is thin & elasticc) Cannot be emptiedd) Not easily visible
1. ac
2. a
3. ad
4. ab

Correct answer: 4. ab